The treatment of early stage of East African sleeping sickness is –
1. Pentamidine
2. Eflornithine
3. Suramin
4. Melarsopol

Correct answer: 3. Suramin